"Biphasic pattern" on histology is seen in which tumor-
1. Rhabdomyosarcoma
2. Synovial cell sarcoma
3. Osteosarcoma
4. Neurofibroma

Correct answer: 2. Synovial cell sarcoma

Explanation: Ans. is 'b' i.e., Synovial cell sarcomaIn synovial cell Sarcoma characteristic biphasic pattern seen i.e., Epithelial cells sharply segregated by sarcomatoid cells.